Mononuclear phagocytes are produced by -
1. Thymus
2. Spleen
3. Bone marrow
4. Liver

Correct answer: 3. Bone marrow

Explanation: The monocyte is formed in the bone marrow and transported by the blood ; it migrates into the tissues, where it transforms into a histiocyte or a macrophage. Reff: Ananthanarayanan & Panikers textbook of microbiology 9th edition pg:137